Galagan's formula is to:
1. Measure the amount of fluoride in toothpaste
2. Measure the amounts of fluoride in drinking water
3. Calculate the fluoride concentration in drinking water depending on temperature of the area
4. Assess the age of the individual by dentition status

Correct answer: 3. Calculate the fluoride concentration in drinking water depending on temperature of the area